Alexithymia is -
1. A feeling of intense rapture
2. Pathological sadness
3. Affective flattening
4. Inability to recognise and describe feelings

Correct answer: 4. Inability to recognise and describe feelings

Explanation: Alexithymia:- a virtual inability to recognize or verbalize emotional experiences.